The triad of diverticulosis, gall stones and hiatus hernia is termed as:
1. Beck's triad
2. Saint's triad
3. Whipple's triad
4. Murphy's triad

Correct answer: 2. Saint's triad

Explanation: Saint's Triad Diverticulosis Gail stones Hiatus hernia Whipple's Triad Seen in insulinoma ( most common functioning tumor of the endocrine pancreas). Fasting-induced neuroglyopenic symptoms of hypoglycemia (diaphoresis, shaking, mental confusion, obtundation and seizures). Low blood glucose levels (40 to 50 mg/dl). Relief of symptoms after the administration of glucose. Beck's Triad Seen in cardiac tamponade Hypotension Soft or absent heart sounds Jugular venous distention (increased JVP) Murphy's Triad Seen in acute appendicitis Pain Fever Vomiting Murphy's Sign Right upper quadrant tenderness exacerbated during inspiration Charcot' Triad Seen in cholangitis Pain Jaundice Fever Reynold's Pentad Ref - Bailey and love 27e Gallbladder p1188